Which one of the following radioisotope is not used as permanent implant?
1. Iodine-I25
2. Palladium-103
3. Gold-198
4. Caesium-137

Correct answer: 4. Caesium-137

Explanation: Ans. Caesium-137